As compared to a routine case-control study, nested case-control study avoids problems (in study design) related to -
1. Temporal association
2. Confounding bias
3. Need for long follow up
4. Randomization

Correct answer: 1. Temporal association